A segment of a eukaryotic gene that is not represented in the mature messenger RNA is known as
1. Intron
2. Exon
3. Plasmid
4. TATA box

Correct answer: 1. Intron

Explanation: The primary transcript contains introns & exons. Splicing removes introns (segment of the gene that is not represented in mature m-RNA) from primary transcript.